Koenen tumor seen in ?
1. Neurofibromatosis
2. Tuberous sclerosis
3. Struge weber syndrome
4. Tuberculosis

Correct answer: 2. Tuberous sclerosis

Explanation: Ans. is 'b' i.e., Tuberous sclerosis Periungual fibromas (Koenen's tumors) :? Present in 20% of patients of tuberous sclerosis. Develop in adult life. Small, pink, sausage-shaped growths arising from under the nail folds; may distort the nail plate.